Functions of the irrigating solution are all, except:
1. Lubrication
2. Debridement
3. Antimicrobial
4. None of the above

Correct answer: 4. None of the above

Explanation: It should:

Have broadspectrum antimicrobial properties.
Aid in the debridement of the canal system.
Have the ability to dissolve necrotic tissue or debris.
Have low toxicity level.
Be a good lubricant.
Have low surface tension so that it can easily flow into inaccessible areas.
Be able to effectively sterilize the root canal (or at least disinfect them).
Be able to prevent formation of smear layer during instrumentation or dissolve the latter once, it is formed.
Inactivate endotoxin.